Most common site of primary spinal tumor
1. Intramedullary; Extradural
2. Intramedullary only
3. Intradural; Extramedullary
4. Intra axially only

Correct answer: 3. Intradural; Extramedullary

Explanation: - MC spinal tumor - Metastasis - MC primary spinal tumor - Nerve sheath tumor - MC intra - Medullary tumor - Astrocytoma - MC site of primary spinal tumor - Intra-dural; Extra medullary